Hypertension is seen with all except-
1. Erythropoitin
2. Cyclosporine
3. NSAID
4. Levodopa

Correct answer: 4. Levodopa

Explanation: Ans. is d i.e., Levodopa Drug causing hypertension Cocaine MAO inhibitors Oral contraceptives Clonidine withdrawl Tricyclic antidepressants Cyclosporine Glucocorticoids Rofecoxib (NSAID) Erythropoietin Valdecoxib (NSAID) Sympathomimetics